Which of the following drug should be given in sustained release oral dosage form
1. An anti-arrhythmic drug with a plasma half life of 10 seconds used for acute treatment of PSVT
2. Anti inflammatory drugs with the plasma half life of 24 hours
3. Hypnotic drugs with a plasma half life of 2 hours
4. An anti hypertensive with a plasma half life of 3 hours

Correct answer: 4. An anti hypertensive with a plasma half life of 3 hours

Explanation: Ref-KDT 6/e p78 Sustained release formulations of a drug are used for the drugs having short duration of action requiring prolonged administration. PSVT is an acute condition and requires a short and fast acting drug. Adenosine is theretore, the drug ot choice for this condition. Option (b) describes a drug having long half life (24 hours). This drug need not be administered as sustained release preparation. For a hypnotic drug, action required is brief i.e. to induce sleep.Therefore, it should not be given as a sustained release preparation. Treatment of hypertension is life long, Drug with half life of 3hours, needs to be administered several times a day, therefore sustained release oral dosage form is best utilized for this drug.